A 45 year old veterinary surgeon presented with a black eschar on the left hand. There was extensive swelling around the ulcer but it was not painful. There were few vesicular lesions surrounding the ulcer. He presented a history of injury to the hand while handling animals. What would be the presumptive diagnosis on the basis of history and culture smear of fluid from the vesicles?
1. Actinomycetoma
2. Clostridium infection
3. Cutaneous anthrax
4. Extrapulmonary nocardiosis

Correct answer: 3. Cutaneous anthrax

Explanation: Ans. is 'c' i.e., Cutaneous AnthraxImage description - Gram stain of culture smear of B. anthracis showing gram +ve bacilli (Bamboo stick appearance).